Increased insulin secretion from beta cells is done by-
1. Metformin
2. Pramlidine
3. Repaglini de
4. Pioglitazone

Correct answer: 3. Repaglini de

Explanation: Ans. is 'c' i.e., Repaglinide o Drugs causing increased insulin secretion (by closing ATP sensitive K+ channels) :- i) Sulfonylureas: first generation (chlorpropamide, tobutamide); second generation (Glimipiride, glyburide, glipizide, gliclazide). ii) Megalitinnide/D-phenylalanine analogues: Nateglinide, Rapaglinide.